Not a feature of brain death -
1. Complete apnea
2. Absent pupillary reflex
3. Absent deep tendon reflex
4. Heart rate unresponsive to atropine

Correct answer: 3. Absent deep tendon reflex

Explanation: The absence of deep tendon reflexes is not required to diagnose brain death because the spinal cord may remain functional.